Which is the most likely complication of IUD ?
1. Hypofibrogenemia
2. Sterility
3. Cervical tear
4. None of the above

Correct answer: 1. Hypofibrogenemia

Explanation: Complications of IUD : Psychological upset Uterine infections Blood coagulation disorder Hypofibrogenemia occurs due to gradual absorption of thromboplastin, liberated from the dead placenta and decides. Ref: Datta Obs 9e pg 304.